Drug of choice for torsades de pointes?
1. Terfenadine
2. Quinidine
3. Isoprenaline
4. Magnesium sulphate

Correct answer: 4. Magnesium sulphate

Explanation: Mg sulfate is used for prolonged QT syndrome or Torsades de pointes. Quinidine and terfenadine cause Torsades de pointesRef: Goodman Gillman 11th ed pg 929-930